Shagreen patch is seen in-
1. Tuberous sclerosis
2. Neurofibromatosis
3. Sturge weber syndrome
4. Neurofibromatosis I

Correct answer: 1. Tuberous sclerosis

Explanation: . *In tuberous sclerosis skin changes include ash leaf mailed,angiofibromas, adenoma sebaceum, shagreen patches often on lower back. Ref Harrison20th edition pg 2564